Duchnne's muscular dystrophy -
1. X-linked dominant
2. X - linked recessive
3. Autosomal dominant
4. Autosomal recessive

Correct answer: 2. X - linked recessive

Explanation: Ans. is 'b' i.e., X-linked recessive o Duchnne & Becker's muscular dystrophy are X-linked recessive.